A patient with cirrhosis of liver has the following coagulation parameters, Platelet count 2,00,000, Prothrombin time 25s/12s, Activated partial thromboplastin time 60s/35s, thrombin time 15s/15s. In this patient-
1. D-dimer will be normal
2. Fibrinogen will be <100 mg
3. ATIII will be high
4. Protein C will be elevated

Correct answer: 1. D-dimer will be normal